Centre of resistance of maxilla is at
1. Point A
2. Palatal suture
3. Above roots of premolar
4. Maxillary Tuberosity

Correct answer: 3. Above roots of premolar